4 year old child presents with developmental delay and episodes of multiple seizures types. 
The child did not respond despite multiple drug therapy. EEG showed 1-2Hz spike and wave pattern.
What is the diagnosis
1. Lennox Gestaut syndrome
2. Rolandic seizures
3. Juvenile myoclonic epilepsy
4. Jang syndrome

Correct answer: 1. Lennox Gestaut syndrome

Explanation: Lennox Gestaut syndrome
Age group: 2 - 12 years
Features: 
Developmental delay
Multiple seizures types
EEG: 1-2 spike - wave pattern
It is difficult to treat associated with poor prognosis.